All of the following is true about Felty syndrome, except?
1. Splenomegaly
2. Increased WBC counts
3. Rheumatoid arthritis
4. None of the above

Correct answer: 2. Increased WBC counts

Explanation: It presents with Neutropenia.